A 25 year old person sustained injury in right eye. He developed right comeal opacity following the injury. Left eye was already having poor vision. Corneoplasty of right eye was done and vision was restored. Medicolegally such injury is labelled as :
1. Grievous
2. Simple
3. Dangerous
4. Serious

Correct answer: 1. Grievous

Explanation: Injuries classified as Grievous by Section 320 of IPC: Emasculation Permanent privation of the sight of either eye Permanent privation of the hearing of either ear Privation of any member or joint Destruction or permanent impairing of the powers of any member or joint Permanent disfiguration of the head or face Fracture or dislocation of a bone or tooth Any hurt which endangers life or which causes the sufferer to be during the space of twenty days in severe bodily pain, or unable to follow his ordinary pursuits Reference The Synopsis of FORENSIC MEDICINE and Toxicology 29th Edition